Ideal desk for school children is
1. Plus desk
2. Minus desk
3. Zero desk
4. Any of the above

Correct answer: 2. Minus desk